Metachromatic granules are stained by-
1. Ponder's stain
2. Negative stain
3. Gram stain
4. Leishman stain

Correct answer: 1. Ponder's stain